Which organ is the primary site of hematopoiesis in the fetus before midpregnancy
1. Bone
2. Liver
3. Spleen
4. Lung

Correct answer: 2. Liver

Explanation: Primary site of gematopoesis in fetus before mid pregnancy is liver. Reference : Ghai essential of pediatrics, eighth edition, p.no:330